The success of oral rehydration therapy of diarrhea depends upon which of the following processes in the intestinal mucosa ?
1. Sodium pump mediated Na+ absorption
2. Glucose coupled Na+  absorption
3. Bicarbonate coupled Na+  absorption
4. Passive Na+ diffusion secondary to nutrient absorption

Correct answer: 2. Glucose coupled Na+  absorption